All of the following are characteristics of phenylalanine hydroxylase, EXCEPT
1. Mixed function oxidase
2. Tetrahydrobiopterin is a cofactor
3. NADPH provides the reducing power
4. Vitamin C is a cofactor

Correct answer: 4. Vitamin C is a cofactor

Explanation: PAH is a mixed-function oxidase because it incorporates one atom of oxygen into phenylalanine and another atom of oxygen into H2 to form H2O. Remember: Not all hydroxylase enzymes require Vitamin C. Not all carboxylase enzymes require Vitamin K.